Precursor of adrenaline producing renal vasodilation is?
1. Dopamine
2. Adrenaline
3. Noradrenaline
4. Acetylcholine

Correct answer: 1. Dopamine

Explanation: Ans: A (Dopamine) Ref:KDT, 6th ed,p. 126Dopamine: is a D1. D2, alpha & beta 1 agonist.Low doses -D1 receptor in renal & mesenteric blood vessels (dilation) - increase GFR, increase Na+ excretion.Moderate dosesBeta 1 receptor - inotropic action - increase cardiac contractility, no effect on heart rate.Large doses -Alpha 1 receptor - vasoconstriction - increase BP.